Which of these is not a premalignant lesion of lesion:
1. Esophageal web
2. Barrett's esophagus
3. Hiatus hernia
4. Achalasia

Correct answer: 3. Hiatus hernia

Explanation: Ans. C: Hiatus hernia Esophageal web is included in Plummer-Vinson syndrome. Some patient may have oropharyngeal leukoplakia, and this may account for an alleged increased risk of developing hypopharyngeal cancer Barrett's esophagus makes their first appearance with a symptomatic and therefore usually locally advanced esophageal cancer Complications of hiatus hernia includes strangulation, gastric perforation and gangrene In achalasia, megaesophagus becomes tortous with a persistent retention esophagitis due to fermentation of food residues and this may account for the increased incidence of the carcinoma of the esophagus